The highest incidence of ectopic pregnancy amongst contraceptive users is observed with:
1. Combined contraceptive pills
2. Copper T intrauterine contraceptive device
3. Progestasert intrauterine device
4. Levonorgestrel intrauterine system

Correct answer: 3. Progestasert intrauterine device

Explanation: - There is a slight increase in proportion of ectopic pregnancy post-failure of IUCD. The failure is highest with progesterone IUD. Progestasert intrauterine device: - Rate of progesteron release = 65 mcg/day - Total progesteron content = 38mg - Shelf life = 1 to yrs - MC side effect is bleeding - 2nd MC side effect - pain